Which is the most important complication of celiac sprue?
1. Intestinal neoplasm
2. Diabetes mellitus
3. Dermatitis herptiformis
4. Bile acid diarrhea

Correct answer: 1. Intestinal neoplasm

Explanation: The most important complication of celiac sprue is development of cancer both intestinal and non-intestinal neoplasms and lymphomas. Celiac sprue Complications Associated with Intestinal neoplasms/ lymphoma Refractory sprue Collagenous sprue Dermatitis herpetiformis Type 1 DM IgA deficiency Down ,Turner syndrome